A leprosy person is presented with involvements of sural and radial nerve . Which type of regimen you will give:
1. Multibacillary treatment X 9 month
2. Multibacillary treatment X 12 month
3. Multibacillary treatment X 15 month
4. Paucibacillary treatment X 6 month

Correct answer: 2. Multibacillary treatment X 12 month

Explanation: Answer (b) Multibacillary treatment X 12 month It is a pure neuritic type of leprosy.It is a case of Multibacillary leprosy for therapeutic purpose (according to WHO classification, more than one nerve trunk involvement is termed as multibacillary for treatment purpose.many consider that pure neuritic leprosy belongs to the paucibacillary group since all of them are acid-fast bacilli negative on skin smears by definition and are mostly lepromin positive.According to present NLEP guidelines in India, when one nerve trunk is involved in leprosy it is considered as paucibacillary, and when more than one nerve trunk is involved, it is considered as multibacillary for therapeutic purposes.